The dentin receptors are unique because
1. They elicit pain to hot and cold
2. They elicit pain to touch and pressure
3. They elicit pain to chemicals
4. Elicit only pain as a response

Correct answer: 4. Elicit only pain as a response